5' - Nucleotidase activity is increased in -
1. Bone diseases
2. Prostate cancer
3. Chronic renal failure
4. Cholestatic disorders

Correct answer: 4. Cholestatic disorders